Auerbachs plexus is present in the -
1. Colon
2. Esophagus
3. Stomach
4. All of the above

Correct answer: 4. All of the above

Explanation: All of the above